In MVP, you would except the ejection click to be more accentuated and the murmur to move closer the first heart sound in a patient
1. With marked anxiety
2. Who is pregnant
3. Who is passive leg lifting in the supine position
4. On a beta blocker

Correct answer: 1. With marked anxiety

Explanation: Anxiety, with an increase in heart rate or decreasing venous return to the heart (standing), causes the click and murmur to occur earlier in systole (closer to S1). Lying down, squatting, sustained hand grip exercise, or passive leg lifting in the supine position increase venous return and cause the click and murmur to occur later in systole (less gravity and more venous return). The diagnosis is best made by echocardiography. -adrenergic blocking agents are frequently used for treatment of supraventricular tachycardias. Calcium channel blockers are also used in symptomatic cases.